Trichomoniasis is transmitted through which stage:
1. Cyst
2. Oocyst
3. Sporozoite
4. Trophozoite

Correct answer: 4. Trophozoite

Explanation: Ans. D. Trophozoitea. Trichomonas vaginalis exists only as a trophozoite; no cyst stage has been identifiedb. A cyst, oocyst and sporozoite are stages involved in transmitting other protozoan infections, and an egg is the means of transmission in a number of helminth infections.